Call exner bodies is seen with :
1. Granulosa cell tumour
2. Pseudomucinous cystadenoma cystadenoma
3. Papillary cystadenoma
4. Dermoid

Correct answer: 1. Granulosa cell tumour

Explanation: Granulosa cell tumour